Bone marrow depression is seen with chronic administration of
1. Isoflurane
2. N2O
3. Ether
4. Halothane

Correct answer: 2. N2O

Explanation: (Refer: Morgan and Mikhail's Clinical Anaesthesiology, 5th edition, pg no.163-168)